Venous air embolism is most common in which position in surgery
1. Sitting
2. Prone
3. Lateral
4. Lithotomy

Correct answer: 1. Sitting

Explanation: Venous air embolism is a potential hazard whenever the operative site is above the level of patients heart The "sitting" position and its modification "beach chair" position are associated with a greater incidence of venous air embolism Ref : ncbi.nlm.nih.gov/pmc/articles/PMC2580000